Which of the following is the earliest change in intestine which occurs in Crohn’s disease?
1. Cobblestone appearance
2. Aphthous ulcer
3. Perforation
4. Stricture

Correct answer: 2. Aphthous ulcer

Explanation: Ref. Robbins Pathology. 9th edition. Page. 800
 
Crohns Disease

Present with skip lesions
Earliest lesion – Aphthous ulcers
Can involve whole of GIT – Form oral cavity to amus
Smoking is a risk factor
Fissure, fistula seen
Stricture seen
Gross features – Creeping pad of fat, Cobblestone appearance
Microscopy - Non caseating granuloma under microscopy, Transmural inflammation